A child with central cyanosis and enlarged left ventricle the probable diagnosis is –
1. Tricuspid atresia
2. Eisenmenger's syndrome
3. Tetralogy of fallots
4. Anomolous pulmonary artery

Correct answer: 1. Tricuspid atresia

Explanation: All the given options are cyanotic heart diseases.
But, amongst the given options, only tricuspid atresia causes left ventricular hypertrophy.